What is the shape of cavity of body of uterus in coronal section ?
1. cylindrical
2. triangular
3. oval
4. spindle

Correct answer: 2. triangular

Explanation: In sagittal section, the cavity of the body of the uterus is seen as a mere slit because the uterus is compressed anteroposteriorly. In coronal section, the cavity is seen to be triangular in shape, the apex being directed downwards. Ref : B D Chaurasia's Human Anatomy, Seventh Edion, volume 2 , pg. no., 421.